In carcinoma of unknown primary, if the tissue marker CDX-2 is positive, it indicates:
1. Bladder cancer
2. Gastrointestinal cancer
3. Lung cancer
4. Thyroid cancer

Correct answer: 2. Gastrointestinal cancer

Explanation: Ans. (b) Gastrointestinal cancer(Ref: Am J Surg Pathol 2003; 27:303)CDX2: Also called caudal-related homeobox gene 2, caudal type homeobox transcription factor 2Fairly specific marker of GI origin for adenocarcinomas